Pellagra is caused by deficiency of which vitamin
1. B2
2. B3
3. B1
4. Folic acid

Correct answer: 2. B3